Intra epidermal Bulla is seen in :
1. Pemphigoid
2. Pemphigus
3. Dermatitis Herpetiformis
4. Light reaction

Correct answer: 2. Pemphigus

Explanation: Ans. is 'b' Pemphigus "Pemphigus causes intraepidermal blistering because of loosening of desm somal links b/w epidermal cells caused by immunological attack- Roxburg, 16/e